Correlation diagram is:
1. Ogive
2. Histogram
3. Scatter diagram
4. Pie diagram

Correct answer: 3. Scatter diagram